Neurofibromatosis is associated with -
1. Papillary Ca
2. Islet cell tumour
3. Pheochromytoma
4. Glucagonoma

Correct answer: 3. Pheochromytoma

Explanation: Following neoplasms are associated with Type I (Von Recklinghausen ds.) NeurofibromaS (including plexiform neurofibromas) Pheochromocytoma Optic gliomas Ependymomas Meningiomas Astrocytomas Type II Bilateral vestibular schwannomas Schwannoma of other cranial and spinal nerves Meningioma Gliomas Schwannomas Ref : Harrison 17/e p2607